All of the following may be used in pregnancy associated hypertension except:
1. Nifedipine
2. Captopril
3. Methyldopa
4. Hydralazine

Correct answer: 2. Captopril

Explanation: Common antihypertensives used in PIH